Sabin-Feldman dye test is used for diagnosis of:
1. Cryptosporidium
2. Babesia
3. Pneumocystis
4. Toxoplasma

Correct answer: 4. Toxoplasma

Explanation: Ans. D: Toxoplasma The most common method of laboratory diagnosis of toxoplasma gondii is by serology like Sabin-Feldman dye test, indirect immunofluorescence, indirect haemagglutination, complement fixation and ELISA. Sabin-Feldman dye test is based on the specific inhibition by antibody of the staining of the trophozoite by alkaline methylene blue.